Linitis plastica is found in A/E -
1. Syphillis
2. Carcinoma
3. Sarcoid
4. Leiomyosarcoma

Correct answer: 4. Leiomyosarcoma

Explanation: Ans. is 'd' i.e., Leiomyosarcoma